In diabetes insipidus, diuretic showing paradoxical antiduretic activity -
1. Thiazide
2. Triamterene
3. Spironolactone
4. Furosemide

Correct answer: 1. Thiazide

Explanation: Ans. is 'a' i.e., Thiazide Thiazide diuretics paradoxically decrease urine output in DI due to formation of cAMP in distal tubules effective in both central and nephrogenic DI.